FIGLU is an intermediate in
1. Valine
2. Histidine
3. Methionine
4. Argenine

Correct answer: 2. Histidine

Explanation: Histidine metabolised to formimino glutamic acid(figlu)Ref: Textbook of biochemistry for medical students, seventh edition, page no: 243